In a 3x3 table, the number of degrees of freedom is:
1. 4
2. 9
3. 3
4. 81

Correct answer: 1. 4